A patient is suspected to have vestibular shwanomma the investigation of choice for its diagnosis is -
1. Contrast enhanced CT scan
2. Gadolinium enhanced MRI
3. SPECT
4. PET scan

Correct answer: 2. Gadolinium enhanced MRI

Explanation: MRI – MRI with gadolinium contrast is the gold standard for the diagnosis or exclusion of vestibular Schwannoma